Characteristic histological finding in benign hypertension
1. Proliferative end arteritis
2. Necrotizing arteriolitis
3. Hyaline arteriosclerosis
4. Cystic medial necrosis

Correct answer: 3. Hyaline arteriosclerosis

Explanation: Ans. (c) Hyaline arteriosclerosis(Ref: Robbins 9th/pg 490, 938-939; 8th/pg 495)a. Also called obliterative endarteritis seen in syphilis/TB/radiation, poisoning, etcb. Malignant MTc. Benign HTd. MC in marfan syndrome